Monetary benefit is measured in
1. Program budgeting system
2. Network analysis
3. Cost effective analysis
4. cost benefit analysis

Correct answer: 4. cost benefit analysis

Explanation: ref : park 21st ed